Pinch purpura are seen in -
1. Secondary amyloidosis
2. Primary systemic amyloidosis
3. Pseudoxanthoma elasticum
4. Toxic shock syndrome

Correct answer: 2. Primary systemic amyloidosis

Explanation: Answer is option 2, primary systemic amyloidosis. Systemic primary amyloidosis a. In primary systemic amyloidosis amyloid deposition occurs in the wall of the blood vessels, this leads to an increase in skin fragility. As a result, petechiae and purpura develop in clinically normal skin as well as in lesional skin following minor trauma. Therefore the skin lesions in case of primary systemic amyloidosis are called pinch purpura. These lesions are pink in colour and translucent. b. Common locations are c. Face (especially the periorbital and perioral region) Ref Robbins 9/e pg157